Which of the following helps in differentiation of follicular carcinoma from follicular adenoma of thyroid
1. Hurthle cell
2. Lining of tall columnar and cuboidal cell
3. Vascular invasion
4. Increased mitoses

Correct answer: 3. Vascular invasion

Explanation: Ref Robbins 9/e p1094 Microscopically most follicular carcinomas are composed of uniform cells forming small follicles.follicular carcinomas may be grossly infiltrative or minimally invasive. The latter are sharply demarcated lesions on gross examination . This distinction requires extensive histologic sampling to exclude capsular or vascular invasion